Male pseudo hermaphroditism:
1. XX genotype, male external genitalia
2. XY genotype, female external genitalia
3. Testis and ovary both present
4. Male external genitalia and ovary present

Correct answer: 2. XY genotype, female external genitalia

Explanation: b. XY genotype, female external genitalia(Ref: Nelson's 20/e p 2750-2759, Ghai 8/e p 532)Male pseudohermaphrodites are genetic males (45,XY), with testes, but their external genitalia & appearance are that of a female.